The critical angel of cornea-air interface is
1. 36deg
2. 46deg
3. 56deg
4. 66deg

Correct answer: 2. 46deg

Explanation: Ans. b. 46deg